True regarding Hodgkins Lymphoma are all except
1. Consecutive group of lymph nodes are involved
2. Splenomegaly is very common
3. Hepatomegaly can occur
4. More common in Females

Correct answer: 4. More common in Females

Explanation: Hodgkin's Lymphoma is more common in males.